Erosion of bone is seen with all of the following except -
1. Gout
2. SLE
3. Psoriasis
4. Rheumatoid arthritis

Correct answer: 2. SLE

Explanation: All inflammatory arthritis cause erosive arthritis, except SLE, which causes non-erosive arthritis.